Which of the following is false regarding H. pylori -
1. With chronic infection urease breath test become negative
2. H. pylori infection remains life long if untreated
3. Endoscopy is diagnostic
4. Toxigenic strains usually cause ulcer

Correct answer: 1. With chronic infection urease breath test become negative